A patient of alcohlic liver failure requires general anesthesia AOC is –
1. Ether
2. Halothane
3. Isoflurane
4. Methoxyflurane

Correct answer: 3. Isoflurane

Explanation: Isoflurane is the volatile agent of choice for maintenance in liver diseases as it has the least effect on hepatic blood flow.